A 25-year-old woman rushes to an emergency department because she is afraid she is dying. She is experiencing chest pain, a sensation of choking, nausea, and tingling sensations up and down her arms. When the screening nurse examines the patient, her face is flushed and sweating. Her pulse is 140/min and respirations are 25/min. When the emergency department physician examines her 15 minutes later, her symptoms are dissipating; her pulse is 100/min, and respirations are 20/min. The ECG is normal, except for some residual tachycardia. Which of the following is the most likely diagnosis?
1. Angina
2. Heartburn
3. Myocardial infarction
4. Panic attack

Correct answer: 4. Panic attack

Explanation: This woman had a panic attack. These are common, affecting more than one third of the general population each year. The etiology appears to be a combination of both biological and psychological dysfunction. The sensations and physiologic changes can be very dramatic and, in addition to the features cited in the question stem, can include dizziness, fear of going crazy, feelings of unreality, chills, abdominal distress, palpitations, shortness of breath, and trembling or shaking. Many patients who experience a panic attack are concerned that they may have a dangerous heart, lung, or brain disorder. Although the diagnosis is fairly straightforward in a younger individual with no known serious disease, the diagnostic dilemma is more difficult in an older patient, who may potentially have a true disease of these organ systems. Whereas isolated panic attacks are common, less than 1% of the population has "panic disorder," characterized by frequent panic attacks, severe anticipation anxiety about recurrent attacks, and avoidance of places in which attacks had previously been experienced. Individuals with isolated panic attacks usually need no more therapy than reassurance; those with panic disorder may be helped with antidepressants, benzodiazepines, and behavior therapy.Angina and myocardial infarction would not be expected in a 25-year-old woman, and the ischemic changes would be apparent on the ECG. Heartburn can produce chest pain, but does not usually produce increased pulse and respiratory rate. Ref: Lee T.H. (2012). Chapter 12. Chest Discomfort. In D.L. Longo, A.S. Fauci, D.L. Kasper, S.L. Hauser, J.L. Jameson, J. Loscalzo (Eds), Harrison's Principles of Internal Medicine, 18e.